Fibromuscular wall is seen in -
1. Gall bladder
2. Duodenum
3. Jejunum
4. ileum

Correct answer: 1. Gall bladder

Explanation: The extrahepatic biliary tree and gallbladder share a similar microscopic anatomy, consisting of a fibromuscular wall lined by mucin producing columnar epithelium similar to that seen in intrahepatic bile ducts.